Which of the following is associated with Pretibial myxedema
1. Thyrotoxicosis
2. Hypothyroidism
3. Hyperparathyroidism
4. All

Correct answer: 1. Thyrotoxicosis